Protein in Cow's milk in comparison to human milk is?
1. Double
2. Triple
3. Quadruple
4. Same

Correct answer: 2. Triple

Explanation: Breast Milk Cow Milk Proteins 1 g/dl 3.5 g/dl Carbohydrates 7 g/dl 4.5 g/dl Lipids Richer in PUFA Poorer